Nitroglycerin caused all accept:
1. Methemoglobinemia.
2. Bradycardia.
3. Tachycardia.
4. Vasodilation.

Correct answer: 2. Bradycardia.

Explanation: Nitrates cause vasodilation, resulting in hypotension which leads to reflex tachycardia.